Which of the following vitamins is necessary for
maturation of blood precursor cells:
1. Vit-A
2. Thiamine
3. Riboflavin
4. Cyano cobalamine

Correct answer: 4. Cyano cobalamine